Which of the following Non invasivemethod is used in detecting position of the tubes in ventilation
1. Oximatry
2. Capnograph
3. PCB tube
4. ECG

Correct answer: 2. Capnograph

Explanation: (Capnograph): (192- Davidson 21st edition)CAPNOGRAPHY - The CO2 concentration in inspired gas is zero, but during expiration-after clearing the physiological dead space. It rises progressively to reach a plateau which represents the alveolar or end tidal CO2 concentration. This cyclical changes in CO2 concentration or Capnogram is measured using an infrared sensor inserted between the ventilator tubing and the endotracheal tube. In normal lungs, the end tidal CO2 closely mirrors Paco2 and can be used to assess the adequacy of alveolar ventilation. However its use is limitedas there may be marked discrepancies in lung disease or impaired pulmonary perfusion (eg due to hypo volaemia) In combination with the gas flow and respiratory cycle data from ventilator. CO2 production and hence metabolic rate may be calculated.In clinical practice end tidal CO2 is used to confirm correct placement of an endotacheal tube, in the management of head injury, and during the transport of ventilated patients.